Where are stem cells present in the cornea
1. Epithelium
2. Stroma
3. Descemet's membrane
4. Limbus

Correct answer: 4. Limbus

Explanation: Cornea Layers and regions of cornea: 1) Epithelium 2) Bowmen's membrane 3) stroma 4) Dua's layer 5) Descemet's membrane 6) Endothelium. The Junction of cornea and sclera is called as Limbus. Healing/ Regeneration capacity of cornea: Regeneration of corneal epithelial cells is mainly from stem cells, which are present as Palisades of vogt at the limbus. Ref:- Parsons diseases of eye; pg num:-4,192,193